Radio isotope used in both Teletherapy and brachy therapy
1. Radium-226
2. Gold-198
3. Cesium-137
4. Iodine-125

Correct answer: 3. Cesium-137

Explanation: Co-60 and Cs-137 are used in both Teletherapy and brachytherapy.